Most common viral cause of acquired aqueductal stenosis is:
1. Rubella
2. Mumps
3. Toxoplasma
4. Enterovirus

Correct answer: 2. Mumps

Explanation: b. Mumps(Ref: Nelsons' 20/e p 1552-1553, Ghai 8/e p 217-218)CNS complications of Mumps include Meningoencephalitis, transverse myelitis, aqueductal stenosis & facial palsy.